False about Good pasture's disease
1. Antibodies against α3 part of type IV collagen
2. Complement normal
3. Bad prognosis
4. Granular deposition of Ig along basement membrane

Correct answer: 4. Granular deposition of Ig along basement membrane

Explanation: Linear deposition - Good pasture's disease.
Granular deposition - PSGN.